A 3 year old child is classified as Pneumonia, if the respiratory rate is:
1. 30/min
2. 40/min
3. 50/min
4. 60/min

Correct answer: 2. 40/min

Explanation: Ans. B. 40/minRevised WHO classification for childhood pneumonia at health facility (2-59 months)Cough and Cold: No Pneumonia: Advise Home careFast breathing/ and or chest indrawing: No Pneumonia: Oral amoxicillin and home care advise.General danger signs: Severe Pneumonia: First dose antibiotic and referral to a centre for intravenous injections.